Materials used for injection in thyroplasty are
1. Gelatin powder
2. Collagen
3. A cellular micronized human debris
4. All of the above

Correct answer: 4. All of the above

Explanation: Materials used for medialization of the vocal cord include--fat, fascia, gelatin powder, collagen and micronized acellular human dermis. Ref:- Neurologic disorder of larynx by Andrew Bilitzer; pg num:- 152